Rashes seen over the cheeks and nose are the characteristic feature of:
1. Scleroderma.
2. SLE.
3. Acrodermatitis enteropathica.
4. Pemphigus.

Correct answer: 2. SLE.

Explanation: The cutaneous lesions consist of erythematous patches on the face which coalesces to form a roughly symmetrical pattern over the cheeks and across the bridge of the nose in a so-called butterfly distribution.